Which of the following is characteristic of alcohol withdrawal?
1. Hallucination
2. Illusion
3. Delusion
4. Drowsiness

Correct answer: 1. Hallucination

Explanation: Alcoholic hallucinations(auditory) is a characteristics withdrawal symptom of alcohol. Delusion of infidelity (morbid jealousy) is also seen in chronic alcoholism but it is not related to withdrawal state.